The most recent advance in noninvasive cardiac output monitoring is use of:
1. PA catheter
2. Thermodilution technique
3. Echocardiography
4. Electrical impedance cardiography technology

Correct answer: 4. Electrical impedance cardiography technology

Explanation: D i.e. Electrical impedance cardiograph technology- PA catheter & thermodilution technique are invasive procedure.- Echo is noninvasive old technique to measure cardiac output- Recent noninvasive advance to measure C.O. is electrical impedance Cardiographs technology.